Which among the following acts as the intermediate host for T. Saginata?
1. Man
2. Cow
3. Dog
4. Pig

Correct answer: 2. Cow

Explanation: Man is the definitive host and cattle is the intermediate host for T. saginata. Humans are infected by eating raw or undercooked beef containing the larvae. In the small intestine the larvae grows into adult worms and is passed in the feces and are eaten by cattle. Cattle serves as intermediate host for T saginata. T.solium: Infection in humans occur when they ingest raw or undercooked pork containing the larvae called cysticerci. Man is the definitive host and pig is the intermediate host. Patients develop anorexia, diarrhea, when it affects the brain it causes headache, vomiting and seizures, in the eyes it appears as uveitis or retinitis. Ref: Levinson W. (2012). Chapter 54. Cestodes. In W. Levinson (Ed), Review of Medical Microbiology & Immunology, 12e.